Retraction of scapula is by which fibre
1. Upper fibre of trapezius
2. Middle fibre of trapezius
3. Lower fibre of trapezius
4. Upper and Lower fibre of trapezius

Correct answer: 2. Middle fibre of trapezius

Explanation: Ans. B Middle fibre of trapezius* Retraction of scapula is done for middle fibres of trapezius musclesMuscles of Scapular Stabilization* Trapezius:# Retraction (M)# Elevation (S)# Depression (I)# Upward rotation (S, M)* Rhomboid--retraction* Levator scapular--elevation* Pectoralis major--protraction* Serratus anterior--Protraction